Commonest site for volvulus is?
1. Caecum
2. Stomach
3. Proximal jejunum
4. Sigmoid colon

Correct answer: 4. Sigmoid colon

Explanation: ANSWER: (D) Sigmoid colonREF: Schwarz 8th ed p-1098, Sutton's 7th ed p-677, Sabiston 16th ed p-1422, Maingot's 10deg' ed p-1404"Most common site of volvulous is the colon. In colon sigmoid colon is the most common site of volvulous"Volvulous:Twisting of one segment of intestine on an axis formed by its mesentry # Results in partial of complete intestinal obstructionPlain radiography of volvulous shows :Large inverted U shaped loop of massively distended sigmoid colon emerging from the pelvis, k/a bent inner tube sign or coffee bean sign.Absence of haustraApex of loop under diaphragmContrast with gastrografhn showrs bird of prey or bird's beak sign